Drug used in AV Block  a)  Isoprenaline  b)  Dopamine  c) Astropine  d) Disopyramide  e)  Propranolol
1. ac
2. ad
3. bd
4. cd

Correct answer: 1. ac